Most common cause of intrauterine infection
1. Rubella
2. Toxoplasma
3. Hepatitis
4. Cytomegalovirus

Correct answer: 4. Cytomegalovirus

Explanation: Ans. is 'd' Cytomegalovirus Most common cause of intrauterine infection is cytomegalovirus.